The smell or odour encountered when performing autopsy on a body that has undergone established Adiopocere formation is :
1. Foul, Repulsive
2. Sweet, Rancid
3. No Odour
4. Pungent

Correct answer: 2. Sweet, Rancid

Explanation: Adipocere formation is characterized by a sweet rancid smell. Decomposition of Body Putrefaction and its Modifications: Decomposition of body under normal conditions (Normal Moisture). - Putrefaction: Breakdown of tissues in response to action of digestive enzymes and microorganisms. - Emits a Foul, repulsive or unpleasant smell caused by accumulation of foul smelling gases. Modification of putrefaction in excess of moisture such as bodies as bodies immersed in water (or damp graves and wet vaults) - Adipocere Formationn (Saponification): Transformation of fatty tissue into yellowish white greasy wax like substance (Grave Wax). Typically occurs from hydrolysis of fat with the release of fatty acids which being acidic inhibit putrefactive bacteria. - Emits a Sweetish Rancid odour when adiopocere is established (Late stages): A penetrating Ammonica odour is typical in the early stages. Modification of Putrefaction in a dry environment with no or minimal moisture (hot and dry environment like desserts or inside a chimney. - Mummification: Results from drying or dehydration of tissues (instead of liquefying putrefaction). The body shrivels and is converted into a hard, leathery or parchment like mass of skin and tendons surrounding the bone. Forensic Importance of mummification, lies in preservation of tissue. - Emits no Foul smell (Odourless) Ref: Knight's Forensic Pathology 4th edition Pgno: 610